All are feature of prematurity in neonate except
1. No crease on sole
2. Abundant lanugo
3. Thick ear cartilage
4. Empty Scotum

Correct answer: 3. Thick ear cartilage

Explanation: *Preterm birth, also known as premature birth, is the birth of a baby at fewer than 37 weeks gestational age* These babies are known as preemies or premmies.*Symptoms of preterm labor include uterine contractions which occur more often than every ten minutes or the leaking of fluid from the vagina.*Premature infants are at greater risk for cerebral palsy, delays in development, hearing problems, and sight problems. These risks are greater the earlier a baby is born.*The cause of preterm birth is often not known.*Risk factors include diabetes, high blood pressure, being pregnant with more than one baby, being either obese or underweight, a number of vaginal infections, tobacco smoking, and psychological stress, among others.*It is recommended that labor not be medically induced before 39 weeks unless required for other medical reasons. The same recommendation applies to cesarean section.* Medical reasons for early delivery include preeclampsia.often babies have empty scrotum , thick lanugo , no creases . Reference: GHAI Essential pediatrics, 8th edition